All of the following statements about insulin like growth factor -(IGF) are true, except
1. Mainly secreted by the pancreas
2. Also known as somatomedin C
3. Secretion is stimulated by growth hormone
4. Required for skeletal and cartilage growth

Correct answer: 1. Mainly secreted by the pancreas

Explanation: Gene for IGF is expressed in the choroid plexus and meninges,cartilage, Liver and in many other tissues, indicating that they are likely synthesized in these tissues. Secretion of IGF-I is independent of growth hormone before birth but is stimulated by growth hormone after birth. Growth hormone acts on cartilage to convert stem cells into cells that respond to IGF-I,Locally produced as well as circulating IGF-I then makes the cartilage grow. Insulin like growth factors are also known as Somatomedin C.. Ref:-Ganong, pg num:-327